Drug contraindicated in iridocyclitis:
1. Aspirin
2. Pilocarpine
3. Atropine
4. Steroids

Correct answer: 2. Pilocarpine

Explanation: Ans: B i.e. Pilocarpine Iridocyclitis is included under anterior uveitis Iritis is most frequently mistaken either for conjunctivitis or acute glaucoma. The error of mistaking iritis for acute glaucoma is very serious, particularly because the treatment of the 2 conditions is diametrically opposite. Dilatation of the pupil, which is urgently necessary in iritis, is the worst possible treatment in acute angle closure glaucoma Drug in uveitis Aspirin is very useful in relieving pain. Pilocarpine is contraindicated in uveitis In anterior uveitis, dilatation of the pupil & relaxation of the ciliary muscle with cycloplegics such as atropine 1% drops or ointment twice or thrice daily, warm compresses, and the control of the acute phases of inflammation with steroids, are the essentials of local treatment